Pneumocystis carinii is a -
1. Fungi
2. Protozoa
3. Gram negative
4. All of the above

Correct answer: 1. Fungi